Goodell sign in early pregnancy is
1. Cervical softening
2. Ectocervical blue tint
3. Isthmic softening
4. Uterine softnening

Correct answer: 1. Cervical softening

Explanation: In early pregnancy, increased vascularity within the cervix stroma beneath the epithelium creates an ectocervical blue tint that is characteristic of Chadwick sign. Cervical edemaleads to softening , whereas isthmic softening is Hegar sign.(Ref: William's Obstetrics; 25th edition)